As per ACOG - 2001 criteria to diagnose "gestational diabetes" using GTT is plasma glucose at 2 hr more than____ mg/dL:
1. 180
2. 155
3. 140
4. 126

Correct answer: 2. 155

Explanation: Ans-B (Ref. William's Obstetrics 22nd /Table 52 - 4).American College of Obstetricians and Gynecologists 2001 Criteria for Diagnosis of Gestational table: DiabetesUsing the 100-g Oral Glucose Tolerance Test: Plasma/ Serum Carpenter and CoustanNational Diabetes Plasma Data GroupStatusmg/dLmmol/Lmg/dLmmol/LFasting955.31055.81 hr18010.019010.62 hr1558.61659.23 hr1407.81458.0